In clinical trials, the major purpose of randomization is to:
1. Reduce selection bias in allocation to treatment
2. Facilitate double blinding
3. Ensure groups are comparable on the base line characteristics
4. Help ensure the study subjects are representative of general population

Correct answer: 1. Reduce selection bias in allocation to treatment

Explanation: Randomization is a statistical procedure by which the selection bias is reduced and thus the participants are allocated into study and control groups to proceed with comparability. By randomization, there is equal distribution of factors between the two groups and thus comparison is allowed. Although randomization makes the groups comparable, it does not 'ensure' comparability. Also double blinding is not facilitated by randomization. Ref: Park's Textbook of Preventive and Social Medicine, 19th Edition, Pages 77-78